Presentation, when the engaging diameter is Mentovertical, is?
1. Brow
2. Face
3. Vertex
4. Breech

Correct answer: 1. Brow

Explanation: Ans-ARef.: Dutta 6th edp-393